In phenylketonuria FeCI test with urine gives .............. color
1. Green
2. Blue
3. Red
4. Purple

Correct answer: 1. Green

Explanation: In ferric chloride test used for detecting the presence of phenols in phenylketonuria,a drop of ferric chloride is added to the urine.Phenols present in urine,will form a complex with Fe(III) to give a transient green colour. Reference:Essential pediatrics-Ghai,8th edition,page no:652